True regarding amaurosis fugax are all except:
1. Transient, recurrent episodes of visual loss
2. Binocular lesion
3. Embolus from carotid artery is commonest cause
4. Ocular examination may be normal

Correct answer: 2. Binocular lesion

Explanation: Amaurosis fugax Sudden, temporary and painless monocular visual loss occurring due to a transient failure of retinal circulation. Uniocular lesion Lasts for 2-5 minutes and resolves in the reverse pattern of progression, leaving no residual deficit. Fundus : May be normal or shows retinal ischemia-Retinal oedema and small superficialhaemorrhages Causes : Carotid transient ischaemic attacks (TIA) Embolization of retinal circulation Papilloedema Giant cell arteritis Raynaud's disease Migraine Hypertensive retinopathy Venous stasis retinopathy